The primary site of action of triameterene and spironolactone is the -
1. Proximal tubule
2. Distal tubule
3. Ascending Loop of Henle
4. Descending Loop of Henle

Correct answer: 2. Distal tubule

Explanation: Ans. is 'b' i.e., Distal tubule o Potassium sparing diuretics (Sprionolactone and triameterene) act on late distal tubule and collecting duct.